The main Side effect of Imatinib mesylate
1. Leg ulcers
2. Fluid retention
3. Flagellate hyperpigmentation
4. Irreversible myelosuppression

Correct answer: 2. Fluid retention

Explanation: The main side effects are fluid retention, nausea, muscle cramps, diarrhea, and skin rashes.